Rare histological varients of carcinoma breast with better prognosis include all except
1. Colloid carcinoma
2. Medullary carcinoma
3. Inflammatory carcinoma
4. Tubular carcinoma

Correct answer: 3. Inflammatory carcinoma

Explanation: Atrophic scirrhous has got best prognosis. Medullary carcinoma has got better prognosis than scirrhous carcinoma because of lymphocytic infiltration. Invasive carcinoma has got worser prognosis. Inflammatory carcinoma breast has worst prognosis. ER +ve tumours has got better prognosis. Presence of elastic fi bres in histology has got better prognosis. Tubular, colloid, papillary types has got better prognosis Ref; (page no; 559) 5th edition of SRB'S manual of Surgery